Which of the following drugs is used as an adjuvant therapy for treatment of fungal corneal ulcers?
1. Atropine eye drops
2. Pilocarpine eye drops
3. Dexamethasone eye drops
4. Lidocaine

Correct answer: 1. Atropine eye drops

Explanation: Ans. (a) Atropine eye dropsRef: Kanski 7/e, p. 179; Khurana 6/e, p. 104Cycloplegic - 1% atropine eye drops or ointment are used to* Reduce pain from ciliary spasm* Prevent formation of posterior synechiae* Increase blood supply to uvea* Reduce exudation and hyperemia